Which of the following inhalational agent is contraindicated in a patient with history of epilepsy -
1. Isoflurance
2. Enflurane
3. Halothane
4. Sevoflurane

Correct answer: 2. Enflurane